Omovertebral bone is associated with?
1. Scoliosis
2. Hemivertebra
3. Springel's deformity
4. Cervical rib

Correct answer: 3. Springel's deformity

Explanation: Ans. C. Springel's deformity. (Ref. Bailey and Love 25th/pg. 486; Fig. 34.2)Klippel-Feil Syndrome# Triad- nshort necks, alow hairlines, and ^Restriction of neck movements due to cervical vertebral fusion.# Other features:# Congenital genitourinary tract, auditory system, spinal cord, CVS and other MSK anomalies are associated.# Medial border of scapula, making the scapula equilateral triangle in shape# Springel anomaly (congenital elevation of scapula with inferior poles pointing outwards/laterally away from each other associated with omovertebral bony bar tht joins fropm cerical vetabrae to scapular spine)# Scoliosis and torticolis# Renal anomalies include duplication, aplasia, horseshoe kidney.# Rx of Klippel-Feil syndrome (Congenital fusion of the any 2 of 7cervical vertebrae): The management is usually for cosmetic rather than functional reasons, especially in unilateral cases. Excision of the omovertebral body or superior angle has a satisfactory cosmetic effect. When functional improvement is the primary goal, complex reconstructive procedures are required.